Long connective tissue papillae and keratinized epithelia are a feature of these parts of oral mucosa
1. gingiva and alveolar mucosa
2. hard palate and gingiva
3. buccal and alveolar mucosa
4. hard and soft palate

Correct answer: 2. hard palate and gingiva